Which of the following drug needs serum level monitoring?
1. Lorazepam
2. Lithium
3. Amitryptylline
4. Haloperidol

Correct answer: 2. Lithium